FESS Mean:
1. Factual endoscopic sinus surgery
2. Functional endonasal sinus surgery
3. Factual endonasal sinus surgery
4. Functional endoscopic sinus surgery

Correct answer: 4. Functional endoscopic sinus surgery

Explanation: FESS - Functional endoscopic sinus surgery Ref: Dhingra 7e pg 477